A patient with schizophrenia is convinced that she has caused a recent earthquake because she was bored and wishing for something exciting to occur. Which of the following symptoms describes this patient's thoughts?
1. Thought broadcasting
2. Magical thinking
3. Echolalia
4. Nihilism

Correct answer: 2. Magical thinking

Explanation: Magical thinking is a form of thinking in which thoughts and ideas are believed to have special powers (eg, to cause or stop outside events) Thought broadcast is a disorder of possession of thought in which patient feels that his thoughts are being broadcasted in outer world and everyone knows what he feels. Echolalia is defined as meaningless repitition of others spoken words Nihilism means nil. In this patient believes that everything is going to end and may deny existence of his mind ,body and the world in general. eg. my internal organs are rotten.